Craniospinal irradiation is used in the Treatment of
1. Oligodendroglioma
2. Pilocytic astrocytoma
3. Mixed oligoastrocytoma
4. Medulloblastoma

Correct answer: 4. Medulloblastoma